In a patient suspected to be diagnosed with Rabies, a sample of corneal smear was taken. Which of the following investigations can be done from the specimen?
1. RT PCR
2. Immunofluorescence test
3. Negri body visualization
4. Virus isolation

Correct answer: 2. Immunofluorescence test

Explanation: Ans. (b) Immunofluorescence test style="font-size: 1.04761904761905em; font-family: Times New Roman, Times, serif">(Ref: )Lab diagnosis of rabies*RT-PCR: detecting the viral nucleic acid especially on biological fluids (saliva, cerebrospinal fluid, tears) and skin biopsy (ante mortem) and brain samples (post mortem)*Serum and spinal fluid are tested for antibodies to rabies virus*Skin biopsy specimens are examined for rabies antigen in the cutaneous nerves at the base of hair follicles*Immunofluorescent antibody staining of the epithelial cells on the corneal impression test (FAT)